Postmortem examination stomach incision done after:
1. Double ligation
2. Single ligation
3. Cut open
4. Triple ligation

Correct answer: 1. Double ligation

Explanation: Since the stomach is connected both to oesophagus and dudoenum so double ligature along the greater curvature of stomach is usually done so that stomach could be taken out for post mortem examination.